Most common cause of arrhythmia is -
1. Ischemic injury
2. Automatism
3. Trigered activity
4. heartfailure

Correct answer: 1. Ischemic injury

Explanation: Ischemic injury is the most common cause of rhythm disorders, because of direct damage or due to the dilation of heart chambers with consequent alteration in conduction system firing. Far less common are inherited causes of arrhythmias. These are caused by mutations in genes that regulate various ion channels that regulate depolarization and repolarization of myocardial cells. Such channelopathies are important (but fortunately uncommon) substrates for fatal arrhythmias. They underlie some cases of sudden cardiac death. Ref : Harrisons 20th edition pg 1443